Following drugs are used in IBS-Constipation Except
1. Lubiprostone
2. Tegaserod
3. Alosetron
4. Linaclotide

Correct answer: 3. Alosetron

Explanation: DRUG MECHANISM OF ACTION USED INTEGASEROD 5 HT4 AGONISTIBS -CONSTIPATIONLUBIPROSTONE STIMULATOR OF CHLORIDE CHANNELIBS -CONSTIPATIONLINACLOTIDE GUANYL CYCLASE C AGONIST IBS -CONSTIPATIONALOSETRON5-HT3 ANTAGONISTIBS-DIARRHEA